Which of the following embryologic structures give rise to the upper three fourth of vagina?
1. Mullerian duct
2. Urogenital sinus
3. Sinovaginal bulb
4. Wolfian duct

Correct answer: 1. Mullerian duct

Explanation: Upper three quarter of the vagina is developed from the fusion of the paramesonephric (mullerian) duct. Lower one fourth is developed by the canalisation of the sinovaginal bulbs which form by the proliferation of the urogenital sinus. Structures developing from mullerain duct are:Fallopian tubesUterus andRt cervixUpper three fourth of vagina